Linitis plastica is a type of -
1. Plastic like lining of stomach
2. Diffuse carcinoma of stomach
3. Benign ulcer
4. GIST

Correct answer: 2. Diffuse carcinoma of stomach

Explanation: Ans. is 'b' i.e., Diffuse carcinoma of stomach Linitis plasticao Involvement of a broad region of the gastric wall or entire stomach by diffuse stomach cancer cause linitis plastica.o It is also known as Brinton's disease,o The appearance of stomach is like leather bottle,o The other cause of linitis plastica are* Lye ingestion# Metastatic infiltration of stomach# Syphilis* Sarcoidosis# Non -hodgkin lymphoma of stomach